All are true about post-streptococcal glomerulonephritis except
1. Crescent formation
2. Subepithelial deposits
3. Granular deposits of IgG
4. Deposition of IgA

Correct answer: 4. Deposition of IgA

Explanation: The disease is characterized by diffuse proliferation of glomerular cells associated with influx (exudation) of leukocytes. These lesions are typically caused by immune complexes. The classic histologic picture is one of enlarged, hypercellular glomeruli. Hypercellularity is caused by Infiltration of leukocytes, both neutrophils, and monocytes. The proliferation of endothelial and mesangial cells and In severe cases crescent formation. By immunofluorescence microscopy, there are granular deposits of IgG and C3 and sometimes IgM in the mesangium and along the GBM. Characteristic electron microscopic findings are discrete, amorphous,electron-dense deposits on the epithelial side of the membrane, and appear as ''humps". From Pathologic basis of disease Robbins, South Asian edition pg no:910,911